Which of the following biomarkers has been shown to correlate best with pulmonary vascular resistance in patients with heart failure:
1. Brain Natriuretic Peptide (BNP)
2. Atrial Natriuretic Peptide (ANP)
3. Endothelin- 1 (ET-1)
4. Endothelin- 2 (ET-2)

Correct answer: 3. Endothelin- 1 (ET-1)

Explanation: Answer is C (Endothelin-1) Endothelin-1 (ET-I) levels have been found to correlate best with pulmonary vascular resistance in patients with Heart Failure. Heart failure is associated with increase in plasma levels of Endothelin-1 (ET-1). Endothelin-1 (ET-I) is amongst the most potent endogenous vasoconstrictors. The pulmonary circulation is the primary source of expression of this neurohormone and ET-1 Levels have been found to correlate with pulmonary vascular resistance. 'Plasma ET-1 Levels correlate directly with pulmonary vascular resistance and it is thought that this peptide may play a role in mediating pulmonary hypertension in persons with heart failure'